Which of the following is not a co-factor for pyruvate dehydrogenase complex?
1. Thiamine pyrophosphate
2. FAD
3. NAD
4. Biotin

Correct answer: 4. Biotin

Explanation: Co-factor for PDH complex are:
Thiamine pyrophosphate (vit B1), FAD (vit B2), NAD (vit B3), coA (vit B5), Lipoic acid.